Granular IgA deposit at dermal papilla are found in:
1. Dermatitis Herpetiformis
2. IgA disease of childhood
3. Herpes gestationalis
4. Bullous pemphigoid

Correct answer: 1. Dermatitis Herpetiformis

Explanation: IgA deposits in dermis are seen in the following conditions: Granular deposits (at tips of dermal papilla) - Dermatitis Herpetiformis (option A) Linear deposits - CBDC (Chronic bullous disease of childhood) and Linear IgA disease of childhood (option B).